A patient with ITP is being planned for splenectomy. What is the best time for platelet infusion in this patient?
1. 2 hours before surgery
2. At the time of skin incision
3. After ligating the splenic artery
4. Immediately after removal of spleen

Correct answer: 3. After ligating the splenic artery

Explanation: Ans. (c) After ligating the splenic arterySalient points in Splenectomy for ITP:* MC indication for elective splenectomy* Indications- failure to respond to medical therapy, Side effects of steroids and after first relapse.* Splenectomy provides a permanent response in 80% cases* Gold standard - Laparoscopic splenectomy* Responses occur in 1 week after surgery* Platelets are ready if count is less than 10000/mm3 and transfusion must be done immediately after Splenic artery ligation.* Don't miss spleneculi's during surgery- then there will be recurrence